Omalizumab is ?
1. Anti IgM antibody
2. AntilgG antibody
3. Anti IgE antibody
4. Anti IgD antibody

Correct answer: 3. Anti IgE antibody

Explanation: Ans. is 'c' i.e., Anti IgE antibody